Superior gluteal nerve supplies all of the following except -
1. Gluteus medius
2. Gluteus Maximus
3. Gluteus Minimus
4. Tensor Fascia Lata

Correct answer: 2. Gluteus Maximus

Explanation: Ans. is 'b' i.e., Gluteus Maximus * Superior gluteal nerve supplies gluteus medius, gluteus minimus and tensor fasciae latae.* Inferior gluteal nerve supplies gluteus maximus.* Nerve supplying muscles of gluteal region arei) Inferior gluteal nerve : Gluteus maximus.ii) Superior gluteal nerve : Gluteus medius and minimus.iii) Nerve to piriformis : Piriformisiv) Nerve to obturator internus : Obturator internus, Gemellus superior.v) Nerve to quadratus femoris : Quadratus femoris, Gemellus inferior.